The most common condition of inherited blindness to mitochondrial chromosomal anomaly is
1. Retinopathy of prematurity
2. Leber's Hereditary optic neuropathy
3. Retinitis pigmentosa
4. Retinal detachment

Correct answer: 2. Leber's Hereditary optic neuropathy

Explanation: (Lebers hereditary optic neuropathy) Leber's hereditary optic neuropathy (LHON) * Which is result of maternal mitochondria] DNA mutations 34660, 14484, 1778 and 15257) * The majority of patients are males in their twenties with the 11778 mutation, which carries worst prognosis * Diagnosis of any patients with bilateral] optic neuritis, painless visual loss * Telangiectatic female relatives